D2O is used to measure volume of
1. Blood
2. Total body water
3. Extracellular fluid
4. Intracellular fluid

Correct answer: 2. Total body water